Syneresis seen in a hydrocolloid gel is:
1. Seen as water loss
2. Water absorption
3. Shrinkage
4. Gelation

Correct answer: 1. Seen as water loss

Explanation: Some basic terminologies associated with hydrocolloids. These are as follows: 

Sol: Colloidal suspension of very small solid particles in a continuous liquid medium.
Gel: Network of ﬁbrils that form a weak, slightly elastic brush heap structure.
Gelation: Transformation from sol to gel.
Liquefaction temperature: The temperature at which the gel converts to the sol state.
Syneresis: Fluid exuded when gel structures reconﬁgure to achieve equilibrium through stress relaxation.
Imbibition: Absorption of water.
Micelles: The dispersed phase agglomerates to form chains or ﬁbrils in the gel state called micelles.

Reference: Materials Used in Dentistry, S Mahalaxmi first ed page no 430